Rupture of supraspinatus manifests as -
1. Painful movements
2. Flat shoulders
3. Difficulty in initiation of abduction
4. Difficulty in abduction after 90°

Correct answer: 3. Difficulty in initiation of abduction

Explanation: Supraspinatus is responsible for shoulder abduction for the first 15 degrees. If it is torn completely, the initiation of abduction is impossible. Passive abduction upto 15 degrees allows other muscles to take over for further abduction.